Most important buffer system in human blood:
1. Bicarbonates
2. Chlorides
3. Hb
4. Phosphates

Correct answer: 1. Bicarbonates

Explanation: Ans. a (Bicarbonates); (Ref. Ganong, Physiology, 21st ed., 736; Satyanarayan, Biochemistry 2nd ed. - 525)PRINCIPAL BUFFERS IN BODY FLUIDSBlood1. H2CO3 K H+ +HCO-3 (Bicarbonate buffer) =>>most predominant buffer of ECF. especially blood plasma.2. HProt K H+ + Prot- & HHb K H++ Hb- (Protein buffer)3. H2PO4 - KH-+ HPO42- (Phosphate buffer)Interstitial fluid1. H2 CO3 K H+ + HCO-3Intracellular fluid1. HProt K H+ + HCO 32. H2PO4 - KH-+ HPO42-